No is synthesized from:
1. L-arginine
2. L-citrulline
3. Glycine
4. Lysine

Correct answer: 1. L-arginine

Explanation: Also called asEndothelium derived Relaxing Factor NO (nitric oxide): - synthesized fromArginineby enzymeNOS(Nitric oxide synthase) in the endothelial cells Nitric oxide relaxes the smooth muscles of blood vessels The vasodilator - nitroglycerin also enters smooth muscle cells, where its metabolism also leads to the formation of NO. There are three isoforms of NOS (Nitric oxide synthase) n NOS - neuronal i NOS- inducible e NOS- endothelial